Succinyl choline is short acting due to –
1. Rapid excretion
2. Poor absorption
3. Rapid hydrolysis
4. None

Correct answer: 3. Rapid hydrolysis

Explanation: Sch is ultrashort acting because of rapid hydrolysis by plasma cholinesterase (pseudocholinesterase).